A patient presents with malignant hyperthermia and metabolic acidosis. Immediate treatment should be started with
1. Intravenous Dantrolene
2. Sodium bicarbonate
3. Intravenous fluids
4. Paracetamol

Correct answer: 1. Intravenous Dantrolene